Intrabony pockets are given a score of ___________ in
Russell's periodontal index:
1. 3
2. 4
3. 6
4. 8

Correct answer: 4. 8